The anticodon region is an important part of the
1. r-RNA
2. m-RNa
3. t-RNa
4. hn-RNa

Correct answer: 3. t-RNa

Explanation: C i.e. t - RNA